Streptococci causing dental caries :
1. Streptococci equisimilis
2. Streptococci mutans
3. Streptococci pneumoniae
4. Streptococci bovis

Correct answer: 2. Streptococci mutans

Explanation: Strep. mutans:

It is member of viridans streptococci ( α hemolytic).
It assumes bacillary form in acid environment.
Can synthesize acid and large polysaccharide (adhesive dextran or levan) from sucrose.